About pseudocyst pancreas false statement is?
1. Fibrous coat
2. Has mucous lining epithelium
3. Not a true cyst
4. Presents as epigastric mass

Correct answer: 2. Has mucous lining epithelium

Explanation: ANSWER: (B) Has mucous lining epitheliumREF: Harrison 16th e p. 1901Pseudopancreatic cyst is not a true cyst and its wall doesn't have an epithelial lining.Wall consists of necrotic tissue, granulation tissue and fibrous tissue.It presents as an epigastric mass.